Common to acyl carrier protein and coenzyme A
1. Located in mitochondria as well as cytoplasm
2. Carriers of folate
3. Phosphopantotheine is the reactive group
4. Phosphorylated to tyrosine

Correct answer: 3. Phosphopantotheine is the reactive group

Explanation: Ans. c (Phosphopantotheine is the reactive group). (Ref. Harper's Biochemistry 26th/pg. 173, 495)Pantothenic acid has central role in acyl group metabolism when acting as a functional moiety of coenzyme A or acyl carrier protein (ACP).PANTOTHENIC ACID# The pantothene functional moiety is formed after combination of pantothenate with cysteine, which provides the -SH prosthetic group of CoA and ACP.# CoA takes part in reactions of the citric acid cycle, fatty acid synthesis and oxidation, acetylation, and cholesterol synthesis.# ACP participates in fatty acid synthesis.# Pantothenic acid is widely distributed in all foods, and deficiency has not been unequivocally reported.Educational point:# The fatty acid synthase system is a MULTIENZYME polypeptide complex that incorporates ACP, which takes over the role of CoA and it contains the pantothenic acid in the form of 4-phosphopantetheine.# Co-enzyme A (CoA) is a widely distributed mercaptan containing adenine, ribose, pantothenic acid, and thioethanolamine.